Mouse Nibbled appearance of vocal cord seen in
1. TB
2. Syphilis
3. Cancer
4. Papilloma

Correct answer: 1. TB

Explanation: Earliest sign : Hyperaemia of UC &bposterior commissure area.
Mamillated arytenoids : Swollen arytenoids.
Mouse nibbud appearance : Multiple ulcer on vocal cord.
Tubon epiglottis : Swollen epiglottis of cellular infiitrations (pseudoedima).